True about Barrett's esophagus are all of the following except:
1. Hyperplastic change in the lining mucosa of esophagus
2. Patient is usually asymptomatic
3. Histology of the lesion shows mucus secreting goblet cells
4. Chronic gastroesophageal reflux is a predisposing factor

Correct answer: 1. Hyperplastic change in the lining mucosa of esophagus

Explanation: Ans. A: Hyperplastic change in the lining mucosa of esophagusBarrett esophagus is a premalignant condition that involves the distal esophagus and appears to be related to chronic gastroesophageal reflux (GORD).There is metaplastic change in the lining mucosa of esophagus.Usually there are no particular severe symptoms, although they do have the most abnormal pH profiles. Patients with Barrett esophagus are predisposed to the most rapidly increasing cause of cancer.The diagnosis of Barrett esophagus is made at endoscopy when the normal, whitish-appearing squamous epithelium is found to be replaced by a reddish, velvety-appearing intestinal type of columnar epithelium.Barrett esophagus is thought to evolve to cancer through various stages of dysplasia.Initially, no dysplasia is found; subsequently, low-grade dysplasia develops in the mucosa, then high-grade dysplasia, and finally carcinoma. Dysplasia is considered indefinite when histological changes are not definitive for dysplasia. Most of these changes cannot be visualized endoscopically.The hallmark of specialized Barrett's epithelium is the presence of mucus-secreting goblet cells (intestinal metaplasia). Patients are usually monitored by a program of periodic surveillance endoscopy during which biopsy specimens are taken in 4 quadrants every 2 cm throughout the Barrett segment.Treatment is that of the underlying cause of GORD